Testicular artery is a branch of?
1. Renal artery
2. Common iliac artery
3. Inferior mesenteric artery
4. Abdominal aorta

Correct answer: 4. Abdominal aorta

Explanation: Ans. D. Abdominal aortaThe abdominal aorta is the largest artery in the abdominal cavity. As part of the aorta, it is a direct continuation of the descending aorta (of the thorax).a. It supplies all of the abdominal organs, and its terminal branches go on to supply the pelvis and lower limbs. It also supplies the undersurface of the diaphragm and parts of the abdominal wall.b. It begins at T12 and ends at L4, where it divides into the right and left common iliac arteries.c. It enters the abdomen through the aortic opening of the diaphragm, which is located beneath the median arcuate ligament between the crura of the diaphragm at T12.d. It is accompanied through the aortic opening by the azygos vein and the thoracic duct.e. It is located on the posterior abdominal wall in the retroperitoneal space of the abdomen.f. It descends on the left of the inferior vena cava (IVC) over the anterior surface of the bodies of the lumbar vertebrae and follows the curvature of the lower spine.g. The abdominal aorta has:h. 3 single anterior visceral branches (coeliac, superior mesenteric artery, inferior mesenteric artery)i. 3 paired lateral visceral branches (suprarenal, renal, gonadal/ testicular/ ovarian)j. 5 paired lateral abdominal wall branches (inferior phrenic and four lumbar)k. 3 terminal branches (two common iliac arteries and the median sacral artery)